Weight in kg is
1. Normal variable
2. Discrete variable
3. Confounding variable
4. Continuous variable

Correct answer: 4. Continuous variable

Explanation: A continuous variable is a variable that has an infinite number of possible values. (ex: weight in Kgs - 48.6, 47.23.etc ) A discrete variable is a variable that can only take on a certain number of values. (Ex: Number of doctors in a clinic - 5, 11..etc) Ref : Park 23rd edition Pgno : 73